Munro microabscesses are seen in -
1. Lichen planus
2. Mycosis fungoides
3. Psoriasis
4. Eczema

Correct answer: 3. Psoriasis

Explanation: Munro microabscess →   Psoriasis
Pautrier microabscess → Mycosis fungoides